Vertebral level of body of sternum is
1. T3 to T4
2. T4 to T5
3. T5 to T7
4. T5 to T9

Correct answer: 4. T5 to T9

Explanation: Vertebrae level of body of sternum is T5-T9. Ref - medscape.com